Hyperpigmentation is seen with
1. FSH
2. LH
3. ACTH
4. TSH

Correct answer: 3. ACTH

Explanation: Ref image - Davidson's medicine 23e p672